The definitive host for echinococcus granulosus is-
1. Man
2. Sheep
3. Hound
4. Dog

Correct answer: 4. Dog